Rim sign in IVP is seen in
1. Polycystic Kidney
2. Hydronephrosis
3. Chronic pyelonephritis
4. Hypernephroma

Correct answer: 2. Hydronephrosis

Explanation: B i.e. Hydronephrosis